Severe wasting is –
1. < 60%
2. < 70%
3. < 80%
4. < 90%

Correct answer: 2. < 70%